Which of the following enzymes decreases gastric motility:
1. Secretin
2. CCK-PZ.
3. Both.
4. None.

Correct answer: 3. Both.

Explanation: Secretin augments the action of CCK-PZ but secrete watery alkaline pancreatic juice. 
Thus, both SECRETIN and CCK-PZ decreases gastric motility.